Coxsackie B virus causes all except -
1. Aseptic meningitis
2. Herpangina
3. Myocarditis
4. Bornholm disease

Correct answer: 2. Herpangina

Explanation: Coxsackie group B causes Bornholm disease,myocarditis and pericarditis,juvenile diabetes,orchitis etc.aseptic meningitis may be caused by most group A and all group B viruses. Herpangina is common clinical manifestation of coxsackie group A. REF:ANATHANARAYAN AND PANIKER'S TEXTBOOK OF MICROBIOLOGY 8TH EDITION PAGE NO:491,492